Which of the following includes the classical triad of ' enlarged upper part of uterus, soft lower part of body and firm cervix 'during early pregnancy?
1. Hegar's sign
2. Jacquemier's sign
3. Osiander's sign
4. Goodell's sign

Correct answer: 1. Hegar's sign

Explanation: Ans. a (Hegar's sign). (Ref Dutta, Obstetrics, 6th ed., p 65)SIGNS OF EARLY PREGNANCY1Jacquemier's or Chadwick's sign (eighth week)Dusky hue of vestibule and anterior vaginal wall.2Osiander's sign (eighth week)Increased pulsations felt through lateral fornices.3Goodell's sign (sixth week)Softening of cervix.4Piskacek's signasymmetrical enlargement of uterus if there is lateral implantation.5Hegar's sign (6--10th week)Variation in uterine consistency due to the enlargement of upper part of the body of uterus and soft and empty lower part of the body with cervix being firm.6Palmer's sign (4--8th week)Regular and rhythmic uterine contractions elicited during bimanual examination.7Palpation of fetal parts can be distinctly made by 20th week of gestation.8Fetal heart may not be audible in cases of maternal obesity, polyhydramnios, IUD and OPP.9Placental signCyclic bleeding up to 12th week of pregnancy until decidual space obliterated.